The absorption of dietary triglycerides from the gut is mainly as
1. Triglycerides
2. Mono acyl glycerol
3. Di acyl glycerol
4. Fatty acids and glycerol

Correct answer: 2. Mono acyl glycerol